Colposcopic features suggestive of malignancy are all except:
1. Condyloma
2. Vascular atypyia
3. Punctation
4. White epithelium

Correct answer: 1. Condyloma